Drug that causes tachycardia, mydriasis, and urinary retention ?
1. Nicotinic agonist
2. Muscarinic agonist
3. Anticholinergic drug
4. Beta agonist

Correct answer: 3. Anticholinergic drug

Explanation: Ans. is 'c' i.e., Anticholinergic drug ACTIONS: CNS: In toxic/high doses: Maximal excitatory effect. Eye: Mydriasis - Paralysis of sphincter pupillae. Cycloplegia - Paralysis of accommodation. Increased intraocular pressure in people with shallow anterior chamber. It gives comfort & rest to eye by relieving spasm of iris sphincter & ciliary muscle. Prevents synechiae formation & demolishes already formed synechiae. Increases blood supply to anterior uvea. By relieving pressure on anterior ciliary arteries. CVS: Increased A-V conduction. GIT: Cause relaxation of LES. Renal: Urinary retention in older males with prostatic hypertrophy. Secretions: Reduces salivary, lacrimal and gastric secretions.